Stain used to diagnose premalignant lesion of lip is?
1. Crystal violet
2. H & E
3. Toluidine blue
4. Giemsa

Correct answer: 3. Toluidine blue

Explanation: ANSWER: (C) Toluidine blueREF: Indian journal of dental research 2007 Volume: 18 Issue: 3 Page: 101-105, Mehrotra et al. Molecular Cancer 2006 5:11 doi: 10.1186/1476-4598-5-11* Mitotic index is a clinically important parameter in cancer pathology.* Selective histochemical stains like toluidine blue, Giemsa and crystal violet have been used in tissues including the developing brain, neural tissue and skin.* Toluidine Blue detect efficiently and rapidly mitotic figures in sections of formalin-fixed paraffin-embedded human tissues especially in oral cavity